Epiphora & lagopthalmous following VII nerveinjury is due to?
1. Failure of lacrimal pump
2. Increased lacrimal secretion
3. Nasolacrimal duct obstruction
4. None of the above

Correct answer: 1. Failure of lacrimal pump

Explanation: Ans. is 'a' i.e., Failure of lacrimal pump Symptomatic epiphora following facial paralysis is most often associated with one or more of the following ? Impairment of eyelid closure. A compromised lacrimal pump. Lower lid laxity